Km of wn emzyme is
1. Dissatisfaction constant
2. The normal psychological substrate concentration
3. The substrate concentration at half maximum velocity
4. Numerically identical for all isozymes that catalyses a given reaction

Correct answer: 3. The substrate concentration at half maximum velocity

Explanation: Ref-KDT 7/e p38 Km of an enzyme is similar to the potency of the drug .it is substrate concentration at which velocity reaches half of the maximum known as Vmax .Hugh is the km lesser is the speed of reaction